25 years old gentleman has repeated thoughts that he has not locked his car door properly and frequently checks it while driving. He also repeatedly checks locks in his house. Diagnosis is
1. OCD
2. OPCD
3. Phobia
4. Somatoform disorder

Correct answer: 1. OCD

Explanation: Obsessive compulsive disorder (OCD) and obsessive compulsive personality disorders a(OCPD)two different types of disorders OCD is classified under anxiety disorders whereas OCPD is classified under personality disorder Patients with OCD have recurrent, irresistible, irrelevant and intrusive thoughts that are EGO DYSTONIC. They will present with repeated doubts wheather they have locked the door and vehicles, repeated contamination thoughts and does acts to counter this obsessions. These acts are called as compulsions. OCPD , a type of cluster C personality which is characterized by Preoccupied with rules Perfectionism that interferes with task completion Inflexibility Devoted to work Stubbornness EGO SYNTONICITY IS THE CHARACTERISTIC FEUTURE Key note. OCD= EGO DYSTONIC OCPD= EGO SYNTONIC Ref. Kaplan and sadock synopsis of psychiatry, 11e, Pg.756.